Sensory supply of larynx, below the vocal cord -
1. Superior laryngeal nerve
2. Inferior laryngeal nerve
3. Recurrent laryngeal nerve
4. Internal laryngeal nerve

Correct answer: 3. Recurrent laryngeal nerve

Explanation: Above the vocal cord


Below vocal cord




Sensory supply


Internal laryngeal nerve


Recurrent laryngeal nerve




Arteries


Superior laryngeal artery
(Branch of superior thyroid artery


Inferior laryngeal artery
(Branch of inferior thyroid artery




Lymphatics


Anterosuperior group of deep cervical lymph nodes


Posteroinferior and pre-laryngeal
group of lymph nodes




Motor supply



 All intrinsic muscles of the larynx are supplied by recurrent laryngeal nerve except cricothyroid.
 Cricothyroid is supplied by the external laryngeal nerve.